OCPs cause
1. Hepatic adenoma
2. Cancer Cervix
3. Hepatic vein thrombosis
4. All

Correct answer: 4. All

Explanation: Ans. is a, b and c i.e. Hepatic adenoma; Cancer cervix; and Hepatic vein thrombosis Lets, see the causes of Hepatic vein thrombosis (Budd-Chiari syndrome). Polycythemia rubra vera, Myeloproliferative syndromes, paroxysmal nocturnal hemoglobinuria OCP use Other hypercoagulable states Invasion of IVC by tumor, such as Renal cell or Hepatocellular Ca Idiopathic.